"White plague" is
1. Pneumonic Plague
2. Bubonic Plague
3. Tuberculosis
4. leprosy

Correct answer: 3. Tuberculosis

Explanation: In 1700s,TB was called "White Plague" due to the Paleness of Patients. Ref: Pg No: 317, IAPSM Textbook of Community Medicine